Dorello’s canal transmits:
1. Middle meningeal artery
2. Mandibular nerve
3. Superior alveolar branch of maxillary nerve
4. Abducent nerve

Correct answer: 4. Abducent nerve

Explanation: Dorello’s Canal is the bow-shaped enclosure surrounding the abducent nerve, as it enters the cavernous sinus. 
It is present at the medial most end of the petrous ridge at the confluence of the inferior petrosal sinus and cavernous sinus.